Excessive production of aldosterone results in
1. Potassium retention
2. Hypotension
3. Acidosis
4. Plasma renin activity suppression

Correct answer: 4. Plasma renin activity suppression